The side effects of digitalis are all except -
1. Ventricular tachycardia
2. Vasodilatation
3. Nausea and vomiting
4. Ventricular Bigemini

Correct answer: 2. Vasodilatation

Explanation: Ans. is 'b' i.e., Vasodilatation o Digitalis causes mild vasoconstriction (not vasodilatation).Manifastations of digitalis intoxicationo Anorexia, nausea, vomiting and abdominal pain are usually reported first.o Later occuring - fatigue, malaise, no desire to walk or lift an arm, headach, mental confusion, restlesness, disorientation, visual disturbances - yellow vision, weight loss, cachexia, gynaecomastia delerium, skin rash,diarrhoea.o Cardiac - Most frequent disturbances of cardiac rhythm are ventricular premature beat, bigeminy, ventricular tachycardia and rarely ventricular fibrillation.o A-V block and non paroxysmal atrial tachcardia with variable A-V block are characteristic of digitalis intoxication.o Severe bradycardia, atrial extrasystoles, AF and AFI may occur.